Smokeless Gun powder contains
1. Nitrocellulose
2. Charcoal
3. Potassium
4. Sulphur

Correct answer: 1. Nitrocellulose

Explanation: SMOKELESS gun powder: Single base: Nitrocellulose Double base: Nitrocellulose + Nitro-glycerine Triple base: Nitrocellulose + Nitroglycerine + Nitroguanidine